All of the following is associated with gastric carcinoma EXCEPT
1. H. pylori infection
2. Smoking
3. Nitrates
4. Blood group B

Correct answer: 4. Blood group B

Explanation: (D) Blood group B FACTORS ASSOCIATED WITH INCREASED INCIDENCE OF GASTRIC CARCINOMAEnvironmental FactorsHost FactorsGenetic* Infection by H. pylori* Present in most cases of intestinal-type carcinoma* Diet* Nitrites derived from nitrates (water, preserved food)* Smoked and salted foods, pickled vegetables* Lack of fresh fruit and vegetables* Low socioeconomic status* Cigarette smoking* Chronic gastritis* Hypochlorhydria: favors colonization with Helicobacter pylori* Intestinal metaplasia is a precursor lesion* Infection by H. pylori* Present in most cases of intestinal-type carcinoma* Partial gastrectomy* Favors reflux of bilious, alkaline intestinal fluid* Gastric adenomas* 40% harbor cancer at time of diagnosis* 30% have adjacent cancer at time of diagnosis* Barrett esophagus* Increased risk of gastroesophageal junction tumors* Slightly increased risk with blood group A* Family history of gastric cancer* Hereditary nonpolyposis colon cancer syndrome> Individuals with blood group 'A' have a higher incidence of gastric cancer than persons with blood group 'O'